The following are gas producing salmonella except-
1. S. typhi
2. S. enteritidis
3. S. typhimurium
4. S. choleraesuis

Correct answer: 1. S. typhi

Explanation: Salmonella ferment sugar producing acid & gas except S. typhi which is anerogenic. SALMONELLA are motile with the presence of peritrichous flagella except Salmonella gallinarum and Salmonella pullorum ,which are non-motile.